Type of pneumonia in P. jirovecei ?
1. Lobar pneumonia
2. Interstitial pneumonia
3. Bronchopneumonia
4. Any of the above

Correct answer: 2. Interstitial pneumonia

Explanation: Ans. is 'b' i.e., Interstitial pneumonia Pneumocystis is an opportunistic fungal pulmonary pathogen.Most common site of involvement is lung (pneumonia). Classical finding is bilateral diffuse infiltrates beginning in perihilar region. Upper lobe infiltrates may develop after aerosolized pentamidine therapy. There may be pneumothorax.